Which of the following carcinoma most frequently metastasizes to brain?
1. Small cell carcinoma lung
2. Prostate cancer
3. Rectal carcinoma
4. Endometrial cancer

Correct answer: 1. Small cell carcinoma lung

Explanation: . Small cell carcinoma lung